Type I Glomus cells of peripheral chemoreceptors have
1. CO2 sensitive K+ channels
2. O2 sensitive Cl– channel
3. CO2 sensitive Cl– channel
4. O2 sensitive K+ channel

Correct answer: 4. O2 sensitive K+ channel

Explanation: O2 sensitive K+ channel is present in Type I Glomus cell.